All of the following are true about oncological emergencies except:
1. Hyperuricemia, hyperkalemia & hypophosphatemia in tumor lysis syndrome
2. PTH-rp is responsible for hypercalcemia of malignancy
3. Zoledronic acid is drug of choice for hypercalcemia of malignancy
4. Most cases of typhlitis resolve with medical therapy alone

Correct answer: 1. Hyperuricemia, hyperkalemia & hypophosphatemia in tumor lysis syndrome

Explanation: Oncological emergencies: Characteristic abnormalities of tumor lysis syndrome - Hyperuricemia - Hyperkalemia - Hyperphosphatemia - Lactic acidosis - Hypocalcemia PTH-rp is responsible for hypercalcemia of malignancy Zoledronic acid is drug of choice for hypercalcemia of malignancy Most cases of typhlitis resolve with medical therapy alone